Overall most common cancer in wold
1. Lung cancer
2. Colon cancer
3. Breast cancer
4. Thyroid carcinoma

Correct answer: 1. Lung cancer